Puerperium is the period
1. 6wks following delivery
2. 3wks following delivery
3. 2wks following delivery
4. 1wk following delivery

Correct answer: 1. 6wks following delivery

Explanation: Purperium begins as soon as the placenta is expelled and lasts for approximately 6wks when the uterus becomes regressed almost to the nonpregnant size.